Which of the following is associated with neurotic depression?
1. Usually Associated With Anxiety
2. Treated By ECT
3. Endogenous Depression
4. Usually Bipolar

Correct answer: 1. Usually Associated With Anxiety

Explanation: Ans. A. Usually associated with anxietyClinical features of neurotic depression. It is a synonymous with Dysthymia or depressive personality disorder* It is sub-syndrome depressive symptom for 2 years.* Depression usually followed by stress.* Neurotic symptoms like anxiety, obsessive symptoms, phobia.* Course of illness is usually chronic.* Reactivity of mood is preserved.* Delusion, hallucination are characteristically absent in neurotic depression.